Which among the following is not an androgen receptor blocker ?
1. Finasteride
2. Cyproterone
3. Flutamide
4. None

Correct answer: 1. Finasteride